Root completion of primary maxillay Lateral incisor tooth occurs at an age of
1. 2-2 ½ year
2. 1-1 ½ year
3. 3-4 year
4. None of the above

Correct answer: 1. 2-2 ½ year